Choriocarcinoma with lung mets is satge-
1. 1
2. 3
3. 2
4. 4

Correct answer: 2. 3

Explanation: Ans. is 'b' i.e., 3 Stages of chorio carcinomaStage IDisease confined to uterusStageIADisease confined to uterus with no risk factorsStage IBDisease confined to uterus with one risk factorStage ICDisease confined to uterus with two risk factorsStage IIGestational trophoblastic tumor extending outside uterus but limited to genital structures (adnexa, vagina, and broad ligament)Stage IIAGestational trophoblastic tumor extending outside uterus but limited to genital structures without risk factorsStage I IBGestational trophoblastic tumor extending outside uterus but limited to genital structures with one risk factorStage IICGestational trophoblastic tumor extending outside uterus but limited to genital structures with two risk factorsStage IIIGestational trophoblastic disease extending to lungs with or without known genital tract involvementStage IIIAGestational trophoblastic tumor extending to lungs with or without genital tract involvement and with no risk factorsStage IIIBGestational trophoblastic tumor extending to lungs with or without genital tract involvement and with one risk factorStage IIICGestational trophoblastic tumors extending to lungs with or without genital tract involvement and with two risk factorsStage IVAll other metastatic sites (liver/brain)Stage IVAAll other metastatic sites without risk factorsStage IVBAll other metastatic sites with one risk factorStage IVCAll other metastatic sites with two risk factors